Depot medroxy progesterone acetate is
1. Subdermal progestin implant
2. 150 mg dose given i.v every 90days
3. Known to dimnish bone mineral density
4. Increases risk of endometrial cancer

Correct answer: 3. Known to dimnish bone mineral density

Explanation: DMPA is an injectable progestin, given i.m Being a progestin it doesn't increase risk of ovarian and endometrial cancer.